The maturation index on vaginal cytology is a diagnostic method for evaluating :
1. Adequacy of cytotoxic drug therapy
2. Gender of an anatomically abnormal child
3. Malignant change at squamocolumnar junction of cervix
4. Endocrine status of vagina

Correct answer: 4. Endocrine status of vagina

Explanation: Maturation index of Vaginal cellsIt is a ratio of vaginal cellsThree major cell typesBasal and Parabasal cells: Least mature cells; Not influenced by hormonesIntermediate cells: Progesterone influences the maturation Superficial cells: Most matured cells; Estrogen affects the maturity Cell counts are expressed as a percentage; Basal/Intermediate/SuperficialUsed for hormonal evaluationPredominance of parabasal cells indicates absence of estrogen stimulationPredominance of Superfical cells indicates estrogen presenceMaturation index examplesMenstrual cycleProliferative phase: 0/40/60Secretory phase: 0/70/30Pregnancy: 0/90/10Menopause: 100/0/0Ref: D.C. Dutta's Textbook of Gynaecology, 6th edition, page no: 58